Viscera, forms a wall in which of the following hernia:
1. Lumbar hernia
2. Sliding hernia
3. Epigastric hernia
4. Femoral hernia

Correct answer: 2. Sliding hernia

Explanation: Ans. B: Sliding herni As a result of slipping of the posterior parietal peritoneum on the underlying retroperitoneal structures, the posterior wall of the sac is not formed of peritoneum alone, but by the sigmoid colon and its mesentry on the left, the caecum on the right and, sometimes, on either side by a portion of the bladder Hernia: Richter's hernia: contains a portion of the circumference of the intestine Littre's hernia: contains Meckel's diverticulum Morgagni's hernia: Hernia between costal and sternal parts of diaphragm Spigelian hernia: -- interparietal - usually subumbilical hernia - at the level of arcuate line, which lies below umbilicus - lies lateral to rectus abdominis Maydl's hernia: Strangulated loops of bowel like W in abdomen Femoral hernia is more common in: Women Femoral hernia strangulates commonly Inguinal hernia is common in: Right side